True about V.S.D. is,all except
1. Small hole closes spontaneously
2. Defect is usually in membranous part
3. Endocarditis is commonest complication
4. Pulmonary oligemia in chest X-ray

Correct answer: 4. Pulmonary oligemia in chest X-ray

Explanation: The VSD is usually single and situated in the membranous or midmuscular portion of the septum. Spontaneous closure is more common in patients born with a small VSD, which occurs in early childhood in most. Main complications are possible development of pulmonary vascular obstruction, RV outflow tract obstruction, aortic regurgitation, or infective endocarditis. (Harrison's Principles of internal medicine, 18 th edition, page 1923 )